Non-sterile hypopyon is seen in -
1. Pneumococcus infection
2. Pseudomonas infection
3. Fungal infection
4. Gonococcal infection

Correct answer: 3. Fungal infection

Explanation: Ans. is 'c' i.e., Fungal infection o Hypopyon refers to accumulation ofpolymorphonuclear leucocytes in the lower angle of anterior chamber. Many pyogenic organisms (Staphylococcus, streptococci, gonococci, Moraxella) and fungi may produce hypopyon but by far the most dangerous are pseudomonas pyogenea and pneumococcus.o Thus, any corneal ulcer may be associated with hypopyon, however, it is customary to reserve the term 'hypopyon corneal ulcer'for the characteristic ulcer caused by pneumococcus and the term 'corneal ulcer with hypopyon' for the ulcers associated with hypopyon due to other causes. The characteristic hypopyon corneal ulcer caused by pneumococcus is called "ulcus serpens".o It is worth noting that the hypopyon in bacterial causes is sterile since the outpouring of polymorphonuclear cells is due to toxin and not due to actual invasion by bacteria. On the other hand, hypopyon in fungal (mycotic) corneal ulcer is non-sterile as there is direct invasion by fungi.